Pain of ovarian carcinoma is referred to:
1. Back of thigh
2. Cervical region
3. Anterior surface of thigh
4. Medical surface of thigh

Correct answer: 4. Medical surface of thigh

Explanation: pain in the medial surface of thigh may be due to irritation of obturator nerve.other features include abdominal pain,abdominal lump,abdomibal discomfort,postmenopausal bleeding,weight loss,cachexia,anemia are the symptoms of advanced stage of cancer. Refer page no 526 of Text book of obstetrics,sheila balakrishnan.